A bullet travelling in an irregular fashion instead of straight line is known as:
1. Yawning bullet
2. Tandem bullet
3. Ricochet bullet
4. Piggyback bullet

Correct answer: 1. Yawning bullet

Explanation: A bullet travelling in an irregular fashion instead of nose on is known as yawning bullet. Ref: Parikh, 6th ed, page 4.26.